Anterior uveitis in hypertensive patient, Drug of choice is to decrease the 10P
1. Lanatoprost
2. Pilocarpine
3. Epinephrine
4. Timolol

Correct answer: 4. Timolol

Explanation: D i.e. TimololIn inflammatory glaucomas (e.g. hypertensive uveitis as Fuchs uveitis syndrome & Posner-Schlossman syndrome also k/a glaucomatocyclitic crisis) the following drugs should be avoided.1. Prostaglandin analogues e.g. latanoprost Q breakdown the blood aqueous barrier and may exacerbate cystoid macular oedema2. Miotic (e.g. physostigmine & Pilocarpine is also contraindicated Q) as it will promote the development of posterior synechiae.